Congenital syphilis can be best diagnosed by -
1. IgM FTA- ABS
2. IgG FTA-ABS
3. VDRL
4. TPI

Correct answer: 1. IgM FTA- ABS

Explanation: Nontreponemal test (VDRL) detects mainly IgG, So cannot differentiate from passive maternal transfer Method to diagnose congenital syphilis is: A reactive IgM test specific for syphilis
19s IgM FTA-ABS, Captia syphilis M test (IgM ELISA) and Western blot